Warthin's tumor is tumor of which gland?
1. Parotid gland
2. Submandibular gland
3. Lingual gland
4. Minor salivary glands

Correct answer: 1. Parotid gland

Explanation: Ans. (a) Parotid glandRef: Bailey & Love 26th ed. / 733RememberWARTHIN TUMOUR* An exclusive tumor of parotid gland* Second most common benign parotid tumor (5%)* Most common bilateral benign neoplasm of the parotid* Marked male as compared to female predominance* Occurs later in life (sixth and seventh decades)* Presents as a lymphocytic infiltrate and cystic epithelial proliferation* May represent heterotopic salivary gland epithelial tissue trapped within intra-parotid lymph nodes* Incidence of bilaterality and multi-centricity of 10%* Malignant transformation rare.